The most common approach for total hip arthroplasty is
1. Anterolateral
2. Posterolateral
3. Anteromedial
4. Posteromedial

Correct answer: 2. Posterolateral

Explanation: Total hip replacement is an operation where both, the acetabulum and the head of the femur are replaced with artificial components. For the acetabulum, a cup made of high-density polyethene is used, and for the head, a specially designed prosthesis made of metal alloy (cobalt-chromium alloy) is used. The most common approach for total hip arthroplasty is the posterolateral approach. Ref: Maheshwari 6e pg 338.